Birth rate is
1. Live birth X 1000\/ mid yr. Population
2. Birth X 1000\/ mid yr population
3. Live birth X 10000\/ mid yr. Population
4. Live birth X 10000\/Population of reproductive age group (15-45)

Correct answer: 1. Live birth X 1000\/ mid yr. Population

Explanation: Birth rate = number of live births during the year X 1000/ estimated mid year population. Unsatisfactory measure of fertility because the total population is not exposed to child bearing. Reference : Park's textbook of preventive and social medicine, 23rd edition, pg no: 488